Which one of the following statements is false ?
1. The presence of ingested erythrocytes is seen only in Entamoeba histolytica
2. Young adult male of low socioeconomic status are most commonly affected by invasive amoebiasis
3. A low iron content in the diet predisposes to invasive amoebiasis
4. The pathogenic and non-pathogenic strains of E. histolytica can be differentiated by the electrophoretic study of zymodemes

Correct answer: 3. A low iron content in the diet predisposes to invasive amoebiasis

Explanation: Ans. is 'c' i.e., A low iron content in the predisposes to invasive amoebiasis . There is no relation between dietary iron and invasive amboebiasis. . The presence of erythrocytes in the cytoplasm is diagnostic of E. histolytica as it is the only intestinal amoeba to exhibit this characteristic - Rajesh Karyakarte . Infection is more common in adults than in children and in males than in females with low socioeconomic status. . There are distinct invasive and noninvasive strain of E. histolytica. These strains vary according to their isoenzyme patterns (zymodemes). E. histolytica strains have 22 zymodemes (isoenzyme patterns) of these 10 zymodemes are invasive and 12 are non-invasive